Narrowing of periodontal ligament in labially placed mandibular canine with age is due to:
1. Due to deposition of cementum and bone
2. Down growths of gingival epithelium
3. Gingival cysts formed from cell rests
4. Reversal of function of horizontal and oblique fibres

Correct answer: 1. Due to deposition of cementum and bone